True about salivary glands tumour is-
1. Commonest site is parotid gland
2. Enucleation is the treatment of choice
3. FNAC is mandatory
4. The most common site of origin is deep lobe.

Correct answer: 1. Commonest site is parotid gland

Explanation: i.e. (Commonest site is parotid gland) : (757-758-761- Bailey & Love 25th) The parotid gland is the most common site for salivary tumors * Most common benign salivary gland tumor is pleomorphic adenoma (benign mixed tumor) * Most common salivary gland malignancy is mucoepidermoid carcinoma Salivary gland tumors - frequency and distribution Type Location Frequency Malignant Major Parotid Common 10-20% Submandibular Uncommon 50% Sublingual Very rare 85% Minor Upper aerodigestive tract Rare 90% * All tumours of superficial lobe of the parotid gland should be managed by superficial parotidectomy. There is no role for enucleation even if a benign lesion is suspected. If the deep lobe of parotid is involved - Total parotidectomy is done * Fine needle aspiration biopsy is a safe alternative to open biopsy. There is evidence to suggest that provided the needle gauge does not exceed 18G. There is no risk of seeding viable tumour cells. The role of FNAB is however controversial as it rarely alters surgical management open surgical biopsy is contraindicated as this may seed the tumour into surrounding tissues Important Points of Pleomorphic adenoma * MC benign tumour of salivary glands - Pleomorphic adenoma * MC tumor of major salivary glands - Pleomorphic adenoma * MC tumour of minor salivary glands - Malignant tumours * The most common site of pleomorphic adenoma is - Superficial lobe * More common in females * Malignant transformation takes place in 2-10% of cases